All of the following statements regarding development of resistance against penicillins is true EXCEPT?
1. Bacteria may develop inactivating enzymes called penicillinases.
2. Bacteria may develop altered penicillin binding proteins
3. Bacteria may develop alternate metabolic pathway
4. Bacteria may become less permeable to penicillins

Correct answer: 3. Bacteria may develop alternate metabolic pathway

Explanation: Major methods of development of resistance to penicillins are: Development of beta lactamases like penicillinases e.g. many staphylococci Development of altered PBPs e.g. in MRSA Decreased permeability to penicillins e.g. in low level resistance to gonococci